Occlusal trauma may best be defined as a condition caused due to:
1. The pressure on teeth due to lack of proper arch alignment
2. Failure of occlusal balance bilaterally
3. The force or the pressure beyond the physiological limits of the periodontium
4. The force or the pressure within the physiological limits of the periodontium

Correct answer: 3. The force or the pressure beyond the physiological limits of the periodontium